A patient involved in a road traffic accident presents with quadriparesis, sphincter disturbance, sensory level up to the upper border of the sternum and a respiratory rate of 35/minute. The likely level of lesion is -
1. CI-C2
2. C4- C5
3. T1 - T2
4. T3 - T4

Correct answer: 2. C4- C5

Explanation: First, see the sensory distribution of the lower neck & upper trunk.
C2 dermatome →Occiput & top part of the neck.
C3 dermatome → Lower part of neck upto the clavicle.
C4 dermatone →Area just below the clavicle (Area which coincides with the upper border of the sternum)
Motor supply of upper-limb is C5_8 T,
Motor supply of diaphragm (Phrenic nerve) is C3_5
Now the findings of the patient in question:-
Li Patient has quadriparesis (i.e. weakness of upper as well lower limbs) →p lesion should be above or at C5 dermatome (upper limb has motor supply C5_8 T1)
Sensory loss up to the upper border of sternum → C4 area
Respiratory rate 35/minute → preservation of respiratory function with increased rate. Lesion at C4_5 level is consistent with preserved respiratory function and increased respiratory rate.
So, the lesion is at C4_5 level.